Vertical transmission of antibody can occur in all of the following, Except -
1. Rh incompatibility
2. Isoimmune thrombocytopenia
3. Neonatal toxic erythema
4. Neonatal myasthenia gravis

Correct answer: 3. Neonatal toxic erythema